IL-2 is produced by
1. T cells
2. B cells
3. Monocytes
4. Neutrophils

Correct answer: 1. T cells

Explanation: IL-2 is produced by CD4 T helper cellsIts actions are:Promotes growth and differentiation of T and B cellsPromotes cytotoxicity of T cells and NK cellsPromotes secretion of other lymphokines IL-3 is produced by T cells for hematopoiesis(ref: Harrison's 18/e p2659, table 314-7)